Sampling error is classified as:
1. Alpha error
2. Beta error
3. Gamma error
4. Alpha error and Beta error

Correct answer: 4. Alpha error and Beta error

Explanation: Sampling error is a type of variation between one sample to another. Due chance and concern either incorrect acceptance or rejection of null hypothesis. Sampling errors arises because it is based on a part and not on the whole. There are two types of sampling errors Type I or alpha error and type II or beta error. The question is not specific, as it does not mention sampling error type I or type II we choose both alpha and delta. Ref: Biostatistics By I.Saha and B. Paul, Page 74 ; Park's Textbook of Preventive and Social Medicine By K.Park, 18th Edition, Page 648